The term 'Primary Prevention' means all of the following except
1. Planning the patient's diet
2. Prophylactic odontomy
3. Topical application of fluoride
4. Extending cavity preparation to prevent Recurrence

Correct answer: 4. Extending cavity preparation to prevent Recurrence